NIH is used for
1. Pinworm
2. Whip worm
3. Round worm
4. hook worm

Correct answer: 1. Pinworm

Explanation: NIH swabs are used to collect eggs of Pinworm (Enterobius) Eggs are collected from the perianal skin by NIH swab or cellophane tape. Pinworms are not released in feces, the diagnosis cannot be made by conventional fecal ova and parasite tests